Sensory nerve roots are present in dorsal nerve roots of the spinal cord is known as:
1. Fick's law
2. Starling's law
3. Bell Magendie law
4. None of the above

Correct answer: 3. Bell Magendie law

Explanation: The principle that in the spinal cord the dorsal roots are sensory and the ventral roots are motor is known as the Bell-Magendie law. Ref: Ganong's Review of Medical Physiology 23rd edition, Chapter 9.